Alkaline diuresis is done for which of the following drug
1. Morphine
2. Amphetamine
3. Phenobarbitone
4. Atropine

Correct answer: 3. Phenobarbitone

Explanation: Drug and media same- drug absorbed Drug and media different- drug not absorbed For acidic drug poisoning like aspirin, phenobarbitone etc, treatment is by sodium bicarbonate k/a forced alkaline diuresis Alkaline drug poisoning like amphetamine, treatment done by ammonium chloride k/a forced acidic diuresis Drug of choice for atropine poisoning is Physostigmine Amphetamine such as methamphetamine are sympathomimetic with clinical effects similar to that of cocaine Teratogenic effects of amphetamine include -decrease school performance,suspected abnormal developmental patterns dilation of pupil is common with amphetamines Phenobarbitol is long acting barbiturate,used in long term management of tonic clonic seizures,decrease cognitive performance in adults